Fallopian tube dysmotility is seen in ?
1. Noonan syndrome
2. Turner syndrome
3. Kartagener syndrome
4. Marfan syndrome

Correct answer: 3. Kartagener syndrome

Explanation: Kartagener syndrome Repeat from Nov 09 Q no. l58